Condyloma are mostly caused by HPV types
1. 11 and 13
2. 6 and 11
3. 6 and 13
4. 30 and 33

Correct answer: 2. 6 and 11

Explanation: Common wart (verruca vulgaris) common type- 1,2 malignant type- 41 Flat wart (verruca plana) common type- 3, 10 malignant type-41 Anogenital warts(condyloma acuminatum) common type- 6, 11 malignant type-30, 45 Bowen's disease.. common type- 16 malignant type-31 Bowenoid papulosis common type-16 malignant type-39, 45 Cervical carcinoma common type-16, 18 malignant type-16, 18, 31, 33 Ref: HARSH MOHAN TEXTBOOK OF PATHOLOGY 6th Ed. Pg no: 772